Streptococcal Toxic Shock Syndrome is due to
1. Erythrogenic toxin
2. Enterotoxin F
3. Enteoxin C
4. None

Correct answer: 1. Erythrogenic toxin

Explanation: Streptococcal pyrogenic exotoxin A, B, C: Responsible for toxic shock syndrome Soft tissue infections with some M types of S.pyogenes(1,3,12,28)may sometimes cause a toxic shock syndrome resembling staphylococcal TSS. Streptococcal TSS and necrotizing fasciitis occur in persons not immune to the infecting M types Reference: Textbook of Microbiology; Anathanarayan and panicker's; 10th edition; Page no: 215